Where does genital tuberculosis occurs in women commonly?
1. Tubes
2. Cervix
3. Uterus
4. Vagina

Correct answer: 1. Tubes

Explanation: Genitourinary tuberculosis is commonly secondary to infection elsewhere in the body, usually pulmonary, but active pulmonary disease can be documented in only one-third of patients. Vascular dissemination is responsible for infection of the fallopian tubes in almost all patients with genital tuberculosis, and involvement of the endometrium follows in 90%. Cervical disease can occur by direct extension or lymphatic spread, occurring in only 1% of cases. Ref: Khachikyan I., Stratton P. (2013). Chapter 40. Benign Disorders of the Uterine Cervix. In A.H. DeCherney, L. Nathan, N. Laufer, A.S. Roman (Eds), CURRENT Diagnosis & Treatment: Obstetrics & Gynecology, 11e.